The RNA virus which is inhibited by Actinomycin D
1. Measles
2. Polio
3. Influenza
4. Rubella

Correct answer: 3. Influenza

Explanation: INFLUENZA VIRUS
Orthomyxovirus, ss negative sense RNA Possesses RNA dependent RNA polymerase
Haemagglutination is the characteristic of influenza virus After some time haemagglutination is reversed by neuraminidase(receptor destroying enzyme – also present V.cholerae) by a process called elution
Antigenic variation is common ( Antigenic shift, Antigenic drift)
Actinomycin D inhibits multiplication